A 34-year-old man presents to OPD with gynecomastia and erectile dysfunction. Physical examination reveals a palpable, non-tender testicular mass within the body of testis. His serum testosterone and estradiol levels were elevated. What is the most likely diagnosis?
1. Leydig cell tumour
2. Granulosa cell tumour
3. Spermatocytic tumour
4. Yolk sac tumour

Correct answer: 1. Leydig cell tumour

Explanation: Leydig Cell Tumor Sex-cord stromal type of testicular tumor Age- usually at 5-10 years of age or in middle adulthood (30-60 years). Tumors of Leydig cells may secrete androgens, estrogens and corticosteroids. In males , testicular swelling is the most common presenting feature. Children usually present with precocious puberty due to excess of testosterone secreted by the tumor. Adults usually present with gynaecomastia, loss of libido, erectile dysfunction and infertility Histology : Large, closely packed cells with eosinophilic cytoplasm, bland nuclei, and small nucleoli. Reinke crystals are pale-staining, cylindrical, eosinophilic cytoplasmic inclusions that are pathognomonic for Leydig cell tumors and are found in up to 30% of patients .